Which of the following is not true regarding 'no scalpel' vasectomy?
1. Special instruments are used to deliver the vas instead of cutting the skin
2. Scrotal skin is cut with LASER to expose the vas
3. The failure rate is same as that of conventional vasectomy
4. It is a very popular method in China

Correct answer: 2. Scrotal skin is cut with LASER to expose the vas

Explanation: - No scalpel vasectomy(also called keyhole vasectomy or NSV) is a vasectomy procedure variant in which a sharp hemostat is used to puncture the scrotum to access the vas deferens instead of giving an incision as in conventionalvasectomy. - No cuts are made in no-scalpel vasectomy, but the skin is punctured. - The failure rate is same as that of conventional vasectomy. - It is a very popular method in China.